Which of the following syndrome shows triad of telangiectasia, recurrent epistaxis, a positive family history for the disorder:
1. Hodgkin's disease.
2. Osler-Weber-Rendu.
3. Sturge weber syndrome.
4. None

Correct answer: 2. Osler-Weber-Rendu.